Most common precipitant of contact dermatitis is
1. Gold
2. Nickle
3. Silver
4. Iron

Correct answer: 2. Nickle

Explanation: B i.e. Nickle